A 30 year old male present with pruritic flat-topped polygonal, shiny violaceous papules with flexural distribution. the most likely diagnosis is?
1. Psoriasis
2. Pityriasis
3. Lichen planus
4. Lichenoid dermatitis

Correct answer: 3. Lichen planus

Explanation: C. i.e. Lichen planus